Adson's test is used for determining vascular insufficiency. It is useful in:-
1. Peripheral vascular disease
2. Varicose veins
3. Cervical rib
4. AV fistula

Correct answer: 3. Cervical rib

Explanation: Adson's test is used for determining vascular insufficiency due to Cervical rib.